Collagen found in hyaline cartilage is
1. Type I
2. Type II
3. Type IV
4. Type V

Correct answer: 2. Type II

Explanation: Collagen present in cartilage are chemically distinct from those in most other tissues.They are described as type 2 collagen Inderbir Singh's textbook of human Histology Seventh edition Pg no 82